Trousseau's syndrome is classically seen with:
1. Carcinoma stomach
2. MEN type II
3. Neuroendocrine tumors
4. Carcinoma pancreas

Correct answer: 4. Carcinoma pancreas

Explanation: Paraneoplastic Thrombophlebitis Deep venous thrombosis is the most common thrombotic condition in patients with cancer.It may be associated with pulmonary embolism (15% of patients who develop deep venous thrombosis or pulmonary embolism have cancer) (Chap. 117). Trousseau's syndrome The coexistence of peripheral venous thrombosis with internal malignancy, particularly pancreatic cancer. Ref: Harrison,E-18,P-831